Early surgery is indicated in -a) Amoebiasis peritonitisb) Biliary peritonitisc) Typhoid peritonitisd) All
1. a
2. bc
3. ac
4. ad

Correct answer: 2. bc